Autologous transplant means?
1. Graft from Individuals of same genetic constitution
2. Graft from self
3. Graft from Twins
4. Graft from members of different species

Correct answer: 2. Graft from self

Explanation: Ans. is 'b' i.e., Graft from self Based on donor, graft may be1. Autograft (autogenic graft): Graft from self.2. Isograft (syngraft): Graft from genetically identical person, e.g. identical twin.3. Allograft (homograft or allogenic graft): Graft from genetically unrelated member of same species.4. Xenograft (heterograft): Graft from different species.